The intensity of colour in Doppler is
1. Direction flow
2. Velocity of flow
3. Strength of returning echo
4. None of the above

Correct answer: 2. Velocity of flow

Explanation: B i.e. Velocity of flow Colour doppler Colours are used to represent direction of flowQ towards & away from the transducer; usually red is towards & blue is away from transducer. Mn "BA or AB= Blue - Away; Red - Towards" Shades (intensity of colour) represent velocity of flowQ; the paler shades representing higher velocity. Power doppler - Is good for showing areas of flowing blood, particularly when it is moving slowly or in small vessels; but at the expense of losing directional & velocity information.